A five year old child presents to the emergency department with burns. The burn area corresponding to the size of his palm is equal to:
1. 1%BSA
2. 5%BSA
3. 10%BSA
4. 20%BSA

Correct answer: 1. 1%BSA

Explanation: According to the rule of palm,burn area corresponding to the size of palm is 1%. Ref: Nonprescription product therapeutics By W. Steven Pray, page 547.